Acute haemorrhagic conjunctivitis is caused by
1. Entero virus
2. Adeno virus
3. Pseudomonas
4. Streptococcus haemolyticus

Correct answer: 1. Entero virus

Explanation: Ans. Entero virus